A15 cms X15 cms ovarian cyst has been diagnosed in an 8 weeks pregnant lady. Further Management includes:
1. Only follow up without surgical intervention
2. Laparotomy at 14-16 weeks
3. Cesarean delivery and ovariotomy at term
4. Surgery after delivery

Correct answer: 2. Laparotomy at 14-16 weeks

Explanation: The ovarian tumour discovered during pregnancy is an enlarged corpus luteal cyst,a benign as well as a malignant tumour.An asymptomatic tumour is discovered during routine ultrasound scanning in early pregnancy.Symptomatic tumour however presents with abdominal pain in pregnancy. Corpus luteal cyst regresses after 12th week and can therefore be observed.The benign tumour should be removed in the second trimester between 14th and 16th week.Earlier surgery may increase the risk of abortion,whereas laparotomy in the third trimester increases the surgical difficulty because of the growing uterus,and preterm is also a possibility. SHAW'S TEXTBOOK OF GYNECOLOGY,Pg no:388,15th edition